A 34-year-old woman is at a family picnic where she has a ham sandwich and potato salad. Three hours after the meal, she feels nauseous and throws up.For the above patient with foodborne illness, select the most likely pathogen.
1. Staphylococcus aureus
2. C perfringens
3. Shigella
4. Vibrio parahaemolyticus

Correct answer: 1. Staphylococcus aureus

Explanation: The preformed toxin of Staphylococcus causes nausea within 1-6 hours of ingestion. Ham, poultry, potato and egg salad, mayonnaise, and cream pastries are common food sources.